Wiskott Aldrich syndrome is associated with all of the following except :
1. Thrombocytopenia
2. Recurrent infections
3. Low levels of IgG
4. Deficient cell mediated immunity

Correct answer: 3. Low levels of IgG

Explanation: Answer is C (Low levels of IgG) : 'Immunoglobulin defect in Wiskott-Aldrich syndrome include low serum concentration of IgM. IgA & IgG are normal and IgE is frequently increased' - Harrison 'Serum IgM levels is low but IgG and IgA levels are normal or elevated' - Ananthnaravanan